Staphylococcal scalded skin syndrome is caused by
1. Hemolysin
2. Coagulase
3. Enterotoxin
4. Epidermolytic toxin

Correct answer: 4. Epidermolytic toxin

Explanation: Exfoliative (epidermolytic) toxin, also known as ET or "exfoliatin", is responsible for staphylococcal scalded skin syndrome(SSSS), an exfoliative skin disease in which the outer layer of the epidermis gets separated from the underlying tissues. The severe form of SSSS is known as Ritter's disease in the newborn and toxic epidermal necrolysis in older patients. Ref: Textbook of Microbiology; Ananthanarayanan and Panicker; 10th Edition; Page No: 204